Characteristics of Remifentanyl – a) Metabolised by plasma esteraseb) Short half lifec) More potent than Alfentanyld) Dose reduced in hepatic and renal diseasee) Duration of action more than Alfentanyl
1. ab
2. bc
3. abc
4. bcd

Correct answer: 3. abc

Explanation: Remifentanil is the shortest acting opioid due to its metabolism by plasma esterase → dose adjustment is not needed in liver or kidney disease. It is more potent than alfentanil : Order of potency is Sufentanil > Fentanyl = Remifentanil > Alfentanil.